Keratitis is caused by ?
1. Bacteria
2. Atopy
3. Protozoa
4. All

Correct answer: 4. All

Explanation: Ans. is 'd' i.e., All Causes of keratitis 1. Infective keratitis Bacterial Viral Fungal Chlamydial Protozoal Spirochaetal 2. Allergic keratitis Phlyctenular keratitis Vernal keratitis Atopic keratitis 3. Trophic keratitis Exposure keratitis Neuroparalytic keratitis Keratomalacia Atheromatous ulcer 4. Keratitis associated with diseases of skin and mucous membrane. 5. Keratitis associated with systemic collagen vascular disorders. 6. Traumatic keratitis, which may be due to mechanical trauma, chemical trauma, thermal burns, radiations. 7. Idiopathic keratitis e.g., Mooren's corneal ulcer Superior limbic keratoconjunctivitis Superficial punctate keratitis of Thygeson